Maltese cross is seen on polarizing microscopy in which of following?
1. Cryptococcus neoformans
2. Penicillium marneffei
3. Plasmodium falciparum
4. Candida albicans

Correct answer: 1. Cryptococcus neoformans

Explanation: In Polarized light maltese cross appearance is seen in cryptococcus. So-called "Maltese cross formations" on the blood film are essentially diagnostic of babesiosis, since they are not seen in malaria, the primary differential diagnosis. Ref: Brooks G.F., Carroll K.C., Butel J.S., Morse S.A., Mietzneron T.A. (2010). Chapter 45. Medical Mycology. In G.F. Brooks, K.C. Carroll, J.S. Butel, S.A. Morse, T.A. Mietzneron (Eds), Jawetz, Melnick, & Adelberg's Medical Microbiology, 25e.